Route of transmission of Toxoplasmosis is:
1. Oral
2. Fecal
3. Blood
4. Urine

Correct answer: 1. Oral

Explanation: Oral